Inspissation is used to sterile?
1. Needles
2. Endoscopes
3. Scissors
4. Culture medium

Correct answer: 4. Culture medium

Explanation: They are moist heat method of sterilization Below 100degC The medium is rendered sterile by heating at 80-85degC for half an hour on three successive days in an inspissator REF: Ananthanarayan and paniker's textbook, of microbiology 9 the edition pg no 30